Drug of choice in delirium tremens is
1. CPZ
2. Phenytoin
3. Chlordiazepoxide
4. Morphine

Correct answer: 3. Chlordiazepoxide

Explanation: The drugs of choice for alcoholic detoxification are usually benzodiazepines. Chlordiazepoxide (80-200 mg/day in divided doses) and diazepam (40-80 mg/day in divided doses) are the most frequently used benzodiazepines. The higher limit of the normal dose range is used in delirium tremens. Ref: A Short Textbook of Psychiatry, Niraj Ahuja, 7th Edition, pg. no.40